Pain fibers are which type
1. Type A a
2. Type A ss
3. Type B
4. Type C

Correct answer: 4. Type C

Explanation: The nociceptors or nerve fibers that are capable of detecting and carrying various forms of pain can be broadly classified into two major types: A-delta and C-fibers.A-delta fibers are lightly myelinated axons and conduct action potential rapidly. In other words, it carries 'fast' type of pain. For example, a sudden, sharp, prick on your body sends a high-speed pain message to your brain to avoid it. These nerve fibers have medium to large-diameter cell bodies. On the other hand, C-fibers mediate 'lingering' type of pain such as burning or aching. The C-fibers have unmyelinated axons, small-diameter cell bodies and conduct slow action potential.Ref: Ganong's review of medical physiology, 23rd edition, page no:89